Which of the following is/are the ventral posterior neucleus of thalamus:
1. Medial lemniscus
2. Lateral lemniscus
3. Corticospinal
4. All

Correct answer: 1. Medial lemniscus

Explanation: A. i.e. Medial lemniscus